Chloroquine cause exacerbation of :
1. Malaria
2. Psorisasis
3. DLE
4. Photosensitivity

Correct answer: 2. Psorisasis

Explanation: B i.e. Psoriasis